Which one of the following is not true about rods?
1. Least number is present in fovea centralis
2. More sensitive to light than cones
3. Pigment is rhodopsin
4. Useful for the color vision

Correct answer: 4. Useful for the color vision

Explanation: (D) Useful for the color vision > Cones are responsible for colour vision because of their much greater visual acuity and also for vision in light (photopic vision). Rods are the receptors for night vision (scotopic vision).